Bitherinal caloric test tests:
1. Anterior semicircular canal
2. Horizontal semicircular canal
3. Superior semicircular canal
4. Posterior semicircular canal

Correct answer: 2. Horizontal semicircular canal

Explanation: In Fitzgerald-Hallpike test/ bithermal caloric test, patient lies supine with head tilted 30deg forward so that horizontal canal is vertical. Ears are irrigated for 40 seconds alternatively with water at 30degC and at 44deg C (70 below & above normal temperature) & observed for appearance of nystagmus till its end point